Most common cause of dissecting hematoma is because of -
1. Hypertension
2. Marfan's
3. Iatrogenic
4. Kawasaki

Correct answer: 1. Hypertension

Explanation: More than 90% of dissections occur in men between the ages of 40 and 60 with antecedent hypertension.